Period of amenorrhea followed by massive bleeding is seen in premenopausal women with
1. Irregular ripening
2. Irregular shedding
3. Metropathia hemorrhagica
4. All of the above

Correct answer: 3. Metropathia hemorrhagica

Explanation: Irregular ripening is anovulatory bleeding due to deficient corpus luteal function. the breakthrough bleeding occurs before the actual menstruation in the form of spotting or brownish discharge
Irregular shedding is due to persistent corpus luteum. the menstruation comes on time, is prolonged but not heavy